Holograph will is:
1. Doctor dictates and written by relatives
2. Testator writes in his own handwriting
3. Testator dictates and written by relatives
4. Testator is dictated and written by doctor

Correct answer: 2. Testator writes in his own handwriting

Explanation: -Holograph will is one which is written by Testator in his own handwriting -Testamentary Capacity is capacity to make a valid will